Which of the following are the first incisors to erupt in an infant __________
1. Lower central
2. Lower lateral
3. Upper central
4. Upper lateral

Correct answer: 1. Lower central

Explanation: Eruption times vary from child to child. As seen from the chart, the first teeth begin to break through the gums at about 6 months of age. Usually, the first two teeth to erupt are the two bottom central incisors (the two bottom front teeth). Next, the top four front teeth emerge. Reference: GHAI Essential pediatrics, 8th edition